A 16 years boy is accused of rape to a 12 years old girl. By which of the following, the boy can prove that he is innocent -a) No abrasion in body & genitaliab) Absence of blood & semen in cloth & genitaliac) Absence of saliva in cheekd) Age of the boy 16 yearse) Presence of smegma in penis & corpora granulosus
1. abc
2. abe
3. cde
4. acd

Correct answer: 2. abe

Explanation: The absence of signs of struggle (injuries to body and vagina) and absence of exchange (blood and semen in cloth and genitalia) may be used as evidence in defences, as their presence is suggestive of rape.
Presence of smegma under prepuce is inconsistent with recent intercourse as it may be rubbed during intercourse and it takes 24 hours to accumulate.
In India, the law does not presume any age limit below which a boy is considered physically incapable of committing rape.